Anxious,shy, avoidant symptoms come under cluster
1. A
2. B
3. C
4. D

Correct answer: 3. C

Explanation: Patients with cluster C personality disorders have shy and anxiety features. This cluster contains 3 personality disorders namely Avoidant Dependent Obsessive-compulsive Ref. Kaplan and sadock synopsis of psychiatry, page 742